Tests for detection of heavy metal -a) Harrison's Gilroy testb) Atomic absorption spectroscopyc) Neutron activation analysisd) Partition activation analysise) Thin layer chromatography
1. ab
2. bc
3. abc
4. bcd

Correct answer: 3. abc